Reversible cause of Dementia includes
1. Alzheimer's disease
2. Dementia pugilistica
3. Normal pressure hydrocephalus
4. Multi-infarct dementia

Correct answer: 3. Normal pressure hydrocephalus

Explanation: (C) Normal pressure hydrocephalus # There are several clearly reversible causes of dementia that are remembered by the mnemonic DEMENTIA. D- Drugs (any drug with anticholinergic activity) E- Emotional- depression M- Metabolic (hypothyroid) E- Eyes and ears declining N- Normal pressure hydrocephalus T- Tumor or other space-occupying lesion I- Infection (syphilis, AIDS) A-Anemia (vitamin B12 or folate deficiency).> Major syndromes with progressive dementia include: Alzheimer disease (AD), vascular dementia (VaD), dementia with lewy bodies (DLB) and frontotemporal dementia (FTD).